Square root of deviation is called as
1. Standard deviation
2. Standard error
3. Mean deviation
4. Range

Correct answer: 1. Standard deviation

Explanation: The standard deviation Most frequently used measure of deviation Widely used measure of variability or diversity used in statistics and probability theory Ref : Park's Textbook of Preventive and Social Medicine; 23rd edition - Pgno. 848